Which structure is not transmitted by foramen ovale?
1. Middle meningeal artery
2. Accessory meningeal artery
3. Lesser petrosal nerve
4. Emissary vein

Correct answer: 1. Middle meningeal artery

Explanation: Ans. A Middle meningeal arteryRef: Netter's Clinical Anatomy, 3rd ed. pg. 460Structures transmitted via foramen ovale (M.A.L.E.)* Mandibular nerve-V3* Accessory meningeal artery* Lesser petrosal nerve* Emissary veinExtra edgeForamen rotundumMaxillary nerve V2Foramen LacerumInternal carotid arteryLesser petrosal nerveGreater petrosal nerveDeep petrosal nerveForamen spinosumMiddle meningeal arteryNervus spinosus (Meningeal Branch of mandibular nerve)Posterior trunk of middle meningeal veinCarotid canalInternal carotid arteryVenous and sympathetic plexus around the arterySince lots of questions are asked on the topic of base of skull, students are expected to memorise this diagram by drawing it yourself.